All are complications of IUCD except :
1. Genital malignancy
2. Bleeding
3. Actinomyocosis
4. Vaginal discharge

Correct answer: 1. Genital malignancy

Explanation: Ans-A (Genital malignancy) Ref: Shaw, 13th ed, p. 224Complications of CuT(a) Increased bleeding(b) Pain(c) Expulsion - 2 to 8%- Nulliparous younger women- Lippeloop- 1st 3 months of use.(d) Vaginal discharge(e) Perforation(f) Infection - Actinomycosis (Normal colonization)(g) Ectopic pregnancy